Transmission of agent by vectors is facilitate by the following ways except one-
1. Contamination with body fluids of vectors
2. Scratching - in of infected feces
3. Ingestion of infected feces
4. Regurgitation

Correct answer: 3. Ingestion of infected feces

Explanation: Methods in which vectors transmit agents: Biting Regurgitation Scratching in of infective faeces Contamination of host with body fluids of vectors (refer pgno:98 park 23 rd edition)